A child is brought to you because of perianal itching, which has been disturbing the child's sleep. Examination reveals scaly skin in the perianal region. You instruct the parents to place transparent tape on the perianal region the next morning, and then return to you. Next day the tape is transferred to a microscope slide, and low-power examination of the tape reveals oval eggs that are flattened along one side. Most likely cause?
1. Ancylostoma duodenale
2. Ascaris lumbricoides
3. Enterobius vermicularis
4. Necator americanus

Correct answer: 3. Enterobius vermicularis

Explanation: Enterobius vermicularis This is the history of enterobiasis Adult female emerges from anus at night- lay embryonated eggs-perianal pruritis. NIH/ perianal swab is used for demonstrating eggs that have been laid by female worm on the perianal skin. The eggs are non-bile stained, plano-convex and contain larva inside.